Enzyme transketolase is dependent on which of the following co-enzymes?
1. NAD
2. FAD
3. CoA
4. TPP

Correct answer: 4. TPP

Explanation: (Thiamine pyrophosphate) Therefore, measurement of erythrocyte transketolase activity gives idea regarding thiamine status of the body.